Dawson Fingers are feature of
1. Parkinsonism
2. Multiple Sclerosis
3. Progressive supra nuclear palsy
4. CJD

Correct answer: 2. Multiple Sclerosis

Explanation: Multiple sclerosis :- - is m/c immune mediated inflammatory demyelinating disease of CNS - autoimmune destruction of myelin formed - Dawson fingers - are radiological feature of Multiple sclerosis - are periventricular white matter hyperintensities perpendicular to ventricles - involvement of calloso-septal interface - open ring/ horseshoe enhancement is suggestive of demyelination